Sewage is defined as:
1. Discarded waste arising from man's activities
2. Waste matter arising from preparation, cooking and consumption of food
3. Waste water from community containing solid and liquid excreta
4. Waste water which does not contain human excreta

Correct answer: 3. Waste water from community containing solid and liquid excreta

Explanation: Waste water from community containing solid and liquid excreta Sewage is defined as waste water from community containing solid and liquid excreta. "Sullage" is waste water from the community which does not contain human excreta e.g., waste water from kitchens and bathrooms.